The term ankyloblepharon means:
1. Smaller appearing palpebral fissure
2. Incomplete closure of palpebral aperture when eyes are shut
3. Adhesions of the margins of the two lids
4. Eversion of the lid margin

Correct answer: 3. Adhesions of the margins of the two lids

Explanation: Ans. C: Adhesions of the margins of the two lids Partial or complete adhesion of the edge of one eyelid to that of the other is known as ankyloblepharon. It may occasionally result from a cicatrizing lesion of the eyelid margins or following tarsorrhaphy. It may also be congenital in which case the eyelids are joined together by bands of tissue and this condition is called ankyblepharon filiform adnatum.